Refractive surgeries for Myopia are all except-
1. Radial keratotomy
2. LASIK
3. Photorefractive keratotomy
4. Holium laser thermoplasty

Correct answer: 4. Holium laser thermoplasty

Explanation: Ans. is 'd' i.e., Holium laser thermoplasty Refractive. SurgeriesFor myopiaFor hypermetropiaFor astigmatismFor presbyopiao Radial keratotomyo Photorefractive keratotomy (PRK)o Laser insitu keratomileusis (LASIK)o Extraction of lens (Fucala's operation)o Phakic intraocular lens (IOL)o Intercomeal ring implantationo Orthokeratologyo Holmium laser thermoplastyo Hyperopic PRKo Hyperopic LASIKo Conductive keratoplastyo Astigmatic keratotomyo Photo-astigmatic refractive keratotomy (PARK)o LASIKo Monovision LASIKo Monovision conductive keratoplastyo Scleral expansion procedureso LASIK-PARMo Bifocal or multifocal or accommodating IOLo Monovision with IOLo Anterior ciliary sclerotomy (ACS)LASIK is most commonly used